Accumulation of glycogen in lysosomes is characteristic in the deficiency of
1. Glycogen synthase
2. Liver debranching enzyme
3. Acid maltase
4. Muscle phosphorylase

Correct answer: 3. Acid maltase

Explanation: Type Name Enzyme Deficiency Clinical Features II Pompe disease Lysosomal a1 - 4 and a1 - 6 glucosidase (acid maltase) Accumulation of glycogen in lysosomes: Juvenile onset variant, Muscle hypotonia, Death from heart failure by age 2 Adult-onset variant, muscle dystrophy Reference: Harper; 30th edition; Table: 18-2; Page no: 179